Which of the following should be avoided in the long-term follow-up of a renal transplant recipient on ciclosporin?
1. Administer live vaccines
2. Prescribe drugs that inhibit cytochrome P450 activity
3. Prescribe NSAIDs
4. All of the above

Correct answer: 4. All of the above

Explanation: The potential for hazardous drug interactions in patients undergoing long term immunosuppression means that particular care is needed with prescribing. The following should be avoided in renal transplant receipients Administer live vaccines Prescribe drugs that induce or inhibit cytochrome P450 activity if patient is taking sirolimus, tacrolimus, or ciclosporin Prescribe nephrotoxic agents (such as non-steroidal anti-inflammatory drugs) Note: After a year of stable graft function, pregnancy is likely to be safe. Ref: CLINICAL REVIEW, Renal transplantation, BMJ 2011;343:d7300 ; The Renal Association. Assessment of the potential kidney transplant recipient. 2011.